Swarming growth is seen in -
1. Salmonella
2. Shigella
3. Proteus
4. E. coli

Correct answer: 3. Proteus

Explanation: Ans. is 'c' i.e., Proteus